Infectious stage of plasmodium is -
1. Trophozoite
2. Cryptozoite
3. Sporozoite
4. Merozoite

Correct answer: 3. Sporozoite